Common complication seen in a patient of osteopetrosis during extraction is:
1. Jaw fracture
2. Osteomyelitis
3. Both of the above
4. None

Correct answer: 3. Both of the above

Explanation: Medullary spaces of jaws are remarkably reduced in both forms.
Osteomyelitis and jaw fracture is common during tooth extraction.

Key concept:
Osteomyelitis of the mandible is common due to a deficient blood supply. Bones are fragile and can fracture easily. 
Ref: Shafer's textbook of oral pathology 7th edition page 704